Mondor's disease is -
1. Thrombophlebitis of the Superficial veins of Breast
2. Carcinoma of the breast
3. Premalignant condition of the breast
4. Filariasis of the breast

Correct answer: 1. Thrombophlebitis of the Superficial veins of Breast

Explanation: Ans. is 'a' i.e., Thrombophlebitis of the Superficial veins of Breast Mondor's diseaseo is thrombophlebitis of the superficial veins of anterior chest wall and breast although it has also been seen in the arm.o Frequently involved veins are1. lateral thoracic vein,2. thoracoepigastric vein3. superficial epigastric veins.o The women may present with acute pain in the lateral asepct of breast or the anterior chest wall. A tender cord-like superficial thrombosed vein is formed and when the skin over the breast is stretched by raising the arm, a narrow shallow subcutaneous groove alongside the cord becomes apparent.